Which of the following increases turbulence in blood flow?
1. Reynolds number< 2000
2. Decrease in velocity of blood
3. Decrease in density of blood
4. Increase in diameter of blood vessel

Correct answer: 4. Increase in diameter of blood vessel